The liver is the principal site for 
A. Synthesis of plasma albumin
B. synthesis of plasma globulins
C. Synthesis of vitamin B12
D. Storage of Vitamin C
E Storage of iron
1. AE
2. BC
3. DA
4. EC

Correct answer: 1. AE

Explanation: The liver has many different functions in the body, but the main function of the liverin digestion is the production of bile and its secretion into the small intestine. The gallbladder is a small, pear-shaped organ located just posterior to the liver.